Lateral rectus is supplied by which cranial nerve:
1. 5
2. 4
3. 3
4. 6

Correct answer: 4. 6

Explanation: Ans. D. 6The extraocular muscles are the six muscles that control movement of the eye and one muscle that controls eyelid elevation (levator palpebrae). The actions of the six muscles responsible for eye movement depend on the position of the eye at the time of muscle contraction.Cranial nerveMuscleOculomotor nerve (N. III)Superior rectus muscleInferior rectus muscleMedial rectus muscleInferior oblique muscleLevator palpebrae superioris muscleTrochlear nerve (N. IV)Superior oblique muscleAbducens nerveLateral rectus muscle